"Rising sun" appearance is seen in
1. ASOM
2. CSOM
3. Glomus tumor
4. Acoustic neuroma

Correct answer: 3. Glomus tumor

Explanation: Rising sun appearance is seen when a glomus tumour arises from the floor of the middle ear in otoscopy. Sometimes, the tympanic membrane appears bluish and maybe bulging. Ref: Dhingra 7th edition pg. 121